45 yr of male presented with Proliferative diabetic retinopathy with Vitreomacular traction. What can be treatment?
1. Pan Retinal Photocoagulation
2. Vitrectomy with endophotocoagulation
3. Ozurodex
4. Anti VEGF

Correct answer: 2. Vitrectomy with endophotocoagulation

Explanation: Any vitreomacular traction in proliferative diabetic retinopathy has to be removed by vitrectomy first followed by endophotocoagulation. Treatment Of Diabetic Retinopathy MILD NPDR- Control Blood Sugar. Moderate NPDR- Control Blood Sugar. Severe NPDR- Control Blood Sugar. Very Severe NPDR- Control Blood Sugar, Regular follow-up, Laser photocoagulation recommended in high-risk patients. (One eye lost due to PDR, poor systemic control, nephropathy, poor follow-up expected.) PDR with Neovascularization of Disc (NVD): Always do Panretinal photocoagulation. Clinically significant Macular edema: New treatment strategy is to decrease the edema with Anti VEGF, then do Macular grid laser if necessary, can use intravitreal steroids, like Ozurodex or Triamcinolone Acetate. Vitreomacular traction: Do vitrectomy first followed by the endophotocoagulation. Lasers used in PRP: Argon blue & Ruby.